"Brush heap" structure is found in:
1. Zinc oxide impression material
2. Agar
3. Condensation silicone
4. Polyether

Correct answer: 2. Agar